The schedule of HDCV in rabies is-
1. 0,3, 7,14, 28
2. 0, 3, 14, 28, 90
3. 3, 7, 14, 16,18
4. 0, 7, 14, 16, 18

Correct answer: 1. 0,3, 7,14, 28

Explanation: Ans- A 0,3, 7,14, 28 Ref- Vaccine Post-exposure prophylaxis depends on the type of contact with the confirmed or suspect rabid animal, as follows: 1. Wound treatment Thorough washing of the wound with soap/detergent and water, followed by the application of ethanol or an aqueous solution of iodine or povidone. 2. Passive immunization Human rabies immunoglobulin (HRIG) or equine rabies immunoglobulin (ERIG) or F(ab')2 products should be used for category III exposures as well as for some category II exposures (see table above). Passive immunization should be administered just before or shortly after administration of the first dose of vaccine given in the post-exposure prophylaxis regimen. If it is not immediately available, passive immunization can be administered up until the seventh day after initiation of the primary series of postexposure prophylaxis (with cell-culture or embryonated-egg rabies vaccine). Dosage and administration: The dose for HRIG is 20 IU/kg body weight and for ERIG and F(ab')2 products 40 IU/kg body weight. The full dose of rabies immunoglobulin, or as much as is anatomically feasible, should be administered into and around the wound site. Any remainder should be injected i.m. at a site distant from the site of active vaccine administration. Multiple needle injections into the wound should be avoided. If the correct dose of rabies immunoglobulin is too small to infiltrate all wounds, as might be true of a severely bitten individual, it can be diluted in physiological buffered saline to ensure greater wound coverage. 3. Active immunization Cell-culture- or embryonated-egg-based rabies vaccines should always be used for post-exposure prophylaxis. They can be administered either i.m. or i.d. Intramuscular regimens: Both a five-dose and a four-dose i.m. regimen are recommended for post-exposure vaccination; the fivedose regimen is the more commonly used: The five-dose regimen is administered on days 0, 3, 7, 14 and 28 into the deltoid muscle. The four-dose regimen is administered as two doses on day 0 (one dose in the right and one in the left arm (deltoid muscles), and then one dose on each of days 7 and 21 into the deltoid muscle. An alternative post-exposure regimen for healthy, fully immunocompetent exposed people who receive wound care plus high-quality rabies immunoglobulin plus WHO-prequalified rabies vaccines consists of four doses administered i.m. on days 0, 3, 7 and 14. Intradermal regimens: Intradermal administration of cell-culture- and embryonated-egg-based rabies vaccines has been successfully used in many developing countries that cannot afford the five- or four-dose i.m. schedules. The two-site i.d. method: one i.d. injection at two sites on days 0, 3, 7 and 28. The volume per intradermal injection should be 0.1 ml with both purified Vero cell rabies vaccine, and purified chick embryo rabies vaccine.